The antidote of choice in paracetamol poisoning is:
1. Flumazenil
2. Siodium bicarbonate
3. N-acetylcysteine
4. Methylene Blue

Correct answer: 3. N-acetylcysteine

Explanation: Cytochromes P450 convert approximately 5% of paracetamol to a highly reactive intermediary metabolite, N-acetyl-p-benzoquinone imine (NAPQI). Under normal conditions, NAPQI is detoxified by conjugation with glutathione to form cysteine and mercapturic acid conjugates N-acetylcysteine works to reduce paracetamol toxicity by replenishing body stores of the antioxidant glutathione. Glutathione reacts with the toxic NAPQI metabolite so that it does not damage cells and can be safely excreted DOC Injection - N acetylcysteine DOC Oral- methionine Ref: KD Tripathi 8th ed